Breastfeeding jaundice typically manifests at
1. 3rd day
2. 3rd week
3. 3rd month
4. Within 24 hrs

Correct answer: 1. 3rd day

Explanation: O Breast milk jaundice - After the 1st weekO Breastfeeding jaundice - Within the 1st week (3rd or 4th day)O Physiological jaundice - After 24 hoursPathological jaundice - At birth or within 24 hours